The symmetric protein shell which encases the nucleic acid core of virus -
1. Capsomere
2. Capsid
3. Basidiomycetes
4. Fungi imperfecti

Correct answer: 2. Capsid

Explanation: Ans. is 'b' i.e., Capsid The virus consists of a nucleic acid surrounded by a protein coat, the capsid.